Which of the following is a characteristic of poliomyelitis -
1. Initial febrile illness followed by development of asymmetrical paralysis
2. Symmetrical muscle wekaness with frequent paraesthesia but normal reflexes
3. Ascending motor paralysis with presevation of reflexes and sensation
4. Pain in the affected limb with sensorimotor deficit

Correct answer: 1. Initial febrile illness followed by development of asymmetrical paralysis

Explanation: A history of fever at the time of onset of paralysis is suggestive of polio. The paralysis is characterised as descending.i.e.starting at the hip then moving down to the distal parts. It is asymmetrical paralysis.. Reference:Park's textbook of preventive and social medicine,K.Park,23rd edition,page no:205-206.